In the first step of Heme synthesis, what is required -
1. Fe
2. Folate
3. Glycine
4. Histidine

Correct answer: 3. Glycine

Explanation: Two starting materials of heme synthesis are succinyl-CoA and glycine. Pyridoxal phosphate is also required.